Imipramine belongs to which group of drugs?
1. Antiepileptic
2. Antidepressant
3. Anxiolytic
4. Antipsychotic

Correct answer: 2. Antidepressant

Explanation: ANTIDEPRESSANTS 1. TYPICAL a. MAO INHIBITORS i. NON-SELECTIVE (NOT USED NOW) 1. TRANYLCYPROMINE 2. ISOCARBOXAZIDE 3. PHENELZINE ii. SELECTIVE MAO-A INHIBITOR 1. MOCLEBEMIDE b. REUPTAKE INHIBITORS i. NON SELECTIVE (BOTH SEROTONIN AND NA) REUPTAKE INHIBITORS 1. TRICYCLIC ANTIDEPRESSANTS (TCA) a. NA + 5HT REUPTAKE INHIBITORS i. IMIPRAMINE ii. CLOMIPRAMINE iii. TRIMIPRAMINE iv. AMITRIPTYLINE b PREDOMINANTLY NA REUPTAKE INHIBITORS i. DESIPRAMINE ii. NORTRIPTYLINE iii. REBOXETINE 2. SEROTONIN AND NOR-ADRENALINE REUPTAKE INHIBITORS (SNRI) a. VENLAFAXINE b. DESVENLAFAXINE c. DULOXETINE d. MILNACIPRAN e. LEVO-MILNACIPRAN ii. SELECTIVE SEROTONIN REUPTAKE INHIBITORS (SSRI) 1. FLUOXETINE 2. FLUVOXAMINE 3. PAROXETINE 4. DAPOXETINE 5. SERTRALINE 6. CITALOPRAM 7. ESCITRALOPRAM 2. ATYPICAL a. TRAZODONE b. MIANSERIN c. MIRTAZAPINE d. BUPROPION e. AMOXAPINE f. TIANEPTIN g. AMINEPTIN h. NEFAZODONE